Tardy ulnar nerve palsy is seen in
1. Medial condyle humerus
2. Lateral condyle humerus
3. Humerus shaft fracture
4. Fracture shaft radius

Correct answer: 2. Lateral condyle humerus

Explanation: Ans. is 'b' i.e., Lateral condyle humerus Causes of tardy ulnar nerve palsy are : - Malunited lateral condyle humerus fracture (cubitus valgus) Displaced medial epicondyle humerus fracture Cubitus varus deformity (due to supracondylar fracture humerus) Elbow dislocation Contusions of ulnar nerve Shallow ulnar groove Hypoplasia of humeral trochlea Joint deformity after prolonged arthritis of elbow